A patient had an inferior wall myocardial infarction and was in shock. The reason for the patient being in shock is:-
1. Mitral regurgitation
2. Infarction causing septal defect
3. Right ventricular infarction
4. Decreased ejection fraction from left ventricle

Correct answer: 3. Right ventricular infarction

Explanation: Answer is C (Right Ventricular infarction) `Right ventricular infarction should be considered whenever a patient with inferior infarction exhibits signs of low cardiac output and raised venous pressure' -- CMDT Mitral regurgitation, decreased ejection fraction and septal defect are features of anterior wall MI.